Endocrine causes for hypertension are all the following except:
1. Cushing's syndrome
2. Hypopituitarism
3. Hyperaldosteronism
4. Gigantism

Correct answer: 2. Hypopituitarism

Explanation: Ans: B (Hypopitutarism) Ref: Harrison's Principles of Internal Medicine. 17th edition. 200H. Chapter 241. Pg.1554. Table 241-3Explanation:Secondary Causes of HypertensionRenal* Parenchymal diseases* Renal cysts (including polycystic kidney disease)* Renal tumors (including renin- secreting tumors)* Obstructive urooathyRenovascularArteriosclerotic, Fibromuscular dysplasiaAdrenal* Primary aldosteronism* Cushing's syndrome* 17-alpha-hydroxylase deficiency* 11-alpha-hydroxylase deficiency* 11-hydroxysteroid dehydrogenase deficiency (licorice), pheochromocytomaAorticcoarctation Obstructive sleep apnea Freed ampsia/ eclampsia Neurogenic* Psychogenic* D encephalic syndrome* Familial dysaufonomia* Polyneuritis (acute porphyria, lead poisoning)* Acute increased intracranial pressure* Acute spinal cord sectionMiscellaneousendocrine* Hypothyroidism* Hyperthyroidism* Hypercalcemia* AcromegalyMedications* High-dose estrogens* Adrenal steroids* Decongestants* Appetite suppressants* Cyclosporine* Tricyclic antidepressants* Monamine oxidase inhibitors* Erythropoietin* Nonsteroidal anti-inflammatory agents* Cocaine